Which of the following Anticancer drug can cause Bone Marrow suppression
1. Vincristine
2. Vinblastine
3. Bleomycin
4. All of the above

Correct answer: 2. Vinblastine

Explanation: All anticancer drugs can lead to B.M suppression except Vincristine, Bleomycin & Cisplatin.